Strongest interactions among the following
1. Covalent
2. Hydrogen
3. Electrostatic
4. Van der Waals

Correct answer: 1. Covalent

Explanation: Strongest bond - CovalentWeakest bond - Van der wals forcesMoleucular interactionsThere are two types of interactions between molecules that stabilize molecular structures :-i) Covalent bonds, e.g. peptide bonds and disulphide bonds.i) Non-covalent bonds.